ADA number 33½ stands for which bur design?
1. Round
2. Inverted cone
3. Tapered fissure
4. Pear

Correct answer: 2. Inverted cone

Explanation: Names and Key Dimensions of Recommended Burs